Best Prognostic factor for head injury ?
1. Age of patient
2. Glasgow coma scale
3. Mode of injury
4. Presence of facial trauma

Correct answer: 2. Glasgow coma scale

Explanation: Glassgow Coma Scale (GCS) Maximum score - 15, minimum score - 3 Best predictor of outcome : Motor response Patients scoring 3 or 4 have an 85% chance of dying or remaining vegetative, while scores above 11 indicate only a 5-10% likelihood of death Table given as image Ref : Harrison's 19th edition Pgno :1777